Genital was are caused by:
1. Human Papilloma Virus
2. HSV
3. Eptsein Barr virus
4. Chlamydia trachomatis

Correct answer: 1. Human Papilloma Virus

Explanation: Ans. A i.e. Human Papilloma Virus